Risk factors for poor progress of labour include the following Except:
1. Meconium stained amniotic fluid
2. Premature rupture of membrane
3. Malpresentation
4. Big baby

Correct answer: 1. Meconium stained amniotic fluid

Explanation: Meconium stained amniotic fluid